Sperm interaction with cervical mucous is assessed by:-
1. Friedman
2. Sims- Huhner
3. Rubins
4. Papanicolaou

Correct answer: 2. Sims- Huhner

Explanation: Post coital test or sims huhner test- examine interaction between sperm and mucus of the cervix . Check the presence of active sperms in the cervical mucus. To test the sperm survival and behavior many hours after intercourse. Check antisperm antibody, sperm motility, sperm count. 6 to 10 hours post coital, is the best time to check both sperm density and longevity. - Rubin test is for inflation of fallopian tube with air. - Papanicolaou test is pap smear- screening test for cervical cancer. - Friedman curve test is used for assessing progress of labour curve.